Most specific marker of pheochromocytoma:
1. VMA
2. Catecholamine
3. 5 - HIAA
4. Serotonim

Correct answer: 1. VMA

Explanation: Pheochromocytoma - tumor for Adrenal gland which secretes high amount of epinephrine & Nor-epinephrine catabolic products of catecholamine - VMA VMA can be measured in 24 hours urine sample